All of the following are biochemical markers included for triple test except :
1. Alfa feto protein
2. Human chorionic gonadotropin
3. Human placental lactogen
4. Unconjugated oestriol

Correct answer: 3. Human placental lactogen

Explanation: Ans. is c i.e. Human Placental Lactogen